Unilateral hydronephrosis is due to ?
1. Bladder neck contracture
2. Stricture urethra
3. Carcinoma of prostate
4. All

Correct answer: 3. Carcinoma of prostate

Explanation: Ans. is c i.e. Carcinoma prostate